VHL gene is located on?
1. 3q
2. 3p
3. 5p
4. 5q

Correct answer: 2. 3p

Explanation: VHL gene mutation is associated with neurocutaneous syndrome Von - Hipple - Lindau disease. It is associated with Hemangioblastomas, cysts, Renal cell carcinoma.